Which of the following anaesthetic agent is known to cause tachypnoea?
1. Ether
2. Halothane
3. Trichloroethylene
4. Cyclopropane

Correct answer: 3. Trichloroethylene

Explanation: Trichloroethylene is a potent analgesic but a weak anaesthetic. It can cause tachypnoea at deeper planes of anaesthesia. Advantages of Trichloroethylene Potent analgesic Non irritant, hence induction is pleasant and smooth Non inflammable and non explosive Post operative reactions are less common Cheap and mostly safe in adequately ventilated patient Disadvantages of Trichloroethylene Weak anaesthetic Reacts with soda lime so should not used in closed circuit Its excreted slowly from the body Cardiac tachyarrhythmias and tachypnoea Muscle relaxation is not good Ref: Essentials of Anaesthesiology By Arun Kumar Paul page 80-1